Treatment of choice of meningococcal infection is -
1. Tetracycline
2. Clindamycin
3. Gentamycin
4. Cephalosporin

Correct answer: 4. Cephalosporin